Number of bullets fired in a tandem bullet
1. 1
2. 2
3. 3
4. 4

Correct answer: 2. 2

Explanation: Ans. 2